Incubation period of rubella is -
1. 18-72 hours
2. 2-3 weeks
3. 1-3 months
4. >1 year

Correct answer: 2. 2-3 weeks

Explanation: The incubation period of rubella is 2-3weeks REF:
ANATHANARAYANAN MICROBIOLOGY NINTH EDITION PAGE.555